The maximum DALY loss is for the following disease -
1. Schizophrenia
2. Unipolar depression
3. Bipolar depression
4. Mania

Correct answer: 2. Unipolar depression

Explanation: Amongst the psychiatric disorders, maximum DALY loss is caused by major depression.
DALY loss : Unipolar depression > Schizophrenia > Bipolar disorder